In which of the following a 'Coeur en Sabot' shape of the heart is seen -
1. Tricuspid atresia
2. Ventricular septal defect
3. Transposition of great arteries
4. Tetralogy of Fallot

Correct answer: 4. Tetralogy of Fallot

Explanation: Ans. is 'd' i.e., Tetralogy of Fallot `Coeur en Sabot' refers to the radialogical appearance of heart in a patient with Tetralogy of Fallot. The cardiac silhouette resembles that of a 'boot' or Wooden shoe in 'Coeur en Sabot ' . X-rav findings in TOF Boot shaped heart (Coeur en sabot) Oligemic pulmonary fields Normal sized heart (no cardiomegaly)